Lallu 40 years has recently started writing books. But the matter in this book could not be understood by anybody; since it contained words which were never there in any dictionary and the theme was very disjoint. Nowadays he has become very shy and self-absorbed. When he addresses people, he speaks about metaphilosophical ideas. What is likely diagnosis -
1. Mania
2. Schizophrenia
3. A genius writer
4. Delusional disorder

Correct answer: 2. Schizophrenia

Explanation: This patient has:-


Disorganized speech:- Speaks about metaphilosophical ideas, a neologism (words never present in any dictionary).
Negative symptoms (shy and self-absorbed)


Diagnosis is schizophrenia.